Collagen most abundant in Hyaline cartilage ?
1. Type I
2. Type I I
3. Type III
4. Type IV

Correct answer: 2. Type I I

Explanation: Ans. is `b' i.e., Type II